Blood flow of resting skeletal muscle is
1. 1-1-5 ml/100 g/min
2. 2-4 ml/100 g/min
3. 5-7 ml/100 g/min
4. 8-10 ml/100 g/min

Correct answer: 2. 2-4 ml/100 g/min

Explanation: The blood flow of resting skeletal muscle is low (2-4 mL/100 g/ min). Ref: Ganong's Review of Medical Physiology Twenty-Third Edition Page No:518